Main blood supply to the head and neck of femur comes from-
1. Lateral circumflex femoral artery
2. Medial circumflex femoral artery
3. Artery of Ligamentum Teres
4. Popliteal artery

Correct answer: 2. Medial circumflex femoral artery

Explanation: *The medial circumflex femoral artery along with its retinacular and epiphyseal branches supplies most of the blood supply to the head and neck of femur. Ref: snell's 8th/e p.561